True statement about left recurrent laryngeal nerve includes
1. It is a pure motor nerve
2. It supplies cricothyroid muscle
3. It arises from vagus as it crosses the first part of subclavian artery
4. It course through the groove between oesophagus

Correct answer: 4. It course through the groove between oesophagus

Explanation: The left recurrent laryngeal nerve arises in the superior mediastinum from the vagus nerve as it crosses the arch of aorta (lateral aspect).It hooks below the arch of aorta on the left side of ligamentum arteriosum behind the arch of aorta on its way to the tracheoesophageal groove.The recurrent laryngeal nerve provides motor innervation to all the intrinsic muscles of the larynx except the cricothyroid which is supplied by the external laryngeal nerve and sensory innervation to the mucous membrane of the laryngeal cavity upto the vocal cord.Each recurrent laryngeal nerve passes deep to the inferior constrictor muscle to enter the laryngeal cavity deep into the cricothyroid joint. Now it's called the inferior laryngeal nerve.Reference: Textbook of anatomy, Head neck and brainVishram Singh, 2nd edition, page no.348